Tumor with best prognosis is -
1. Ependymoma
2. Medulloblastoma
3. Cerebellar astrocytoma
4. Glioblastoma multiforme

Correct answer: 3. Cerebellar astrocytoma